Which of the following is not an antiglaucoma drug:
1. Brimonidine
2. Prednisolone
3. Dorzolamide
4. Timolol

Correct answer: 2. Prednisolone

Explanation: Ans. B: Prednisolone The types of most commonly prescribed eyedrops include: Beta blockers. These reduce the production of aqueous humor. Examples include levobunolol, timolol, betaxolol and metipranolol. Possible side effects include difficulty breathing, slowed pulse, hair loss, lower blood pressure, impotence, fatigue, weakness, depression and memory loss. Alpha-agonists. These reduce the production of aqueous humor and increase drainage. Examples include apraclonidine and brimonidine. Possible side effects include fatigue; dizziness; red, itchy or swollen eyes; dry mouth; and allergic reactions. Carbonic anhydrase inhibitors. These also reduce the production of aqueous humor. Examples include dorzolamide and brinzolamide. Frequent urination and a tingling sensation in the fingers and toes are possible side effects, occurring more often with oral carbonic anhydrase inhibitors than with anhydrase inhibitor eyedrops. Prostaglandin-like compounds. These eyedrops increase the outflow of aqueous humor. Examples include latanoprost, bimatoprost and travoprost. Possible side effects include mild reddening and stinging of the eyes and darkening of the iris, changes in the pigment of the eyelid skin, and blurred vision from swelling of the retina. Miotic or cholinergic agents. These also increase the outflow of aqueous humor. Examples include pilocarpine and carbachol. Possible side effects are pain around or inside the eyes, brow ache, blurred or dim vision, nearsightedness, allergic reactions, a stuffy nose, sweating, increased salivation, and occasional digestive problems. Epinephrine compounds. These compounds, such as dipivefrin, also increase the outflow of aqueous humor. Possible side effects include red eyes, allergic reactions, palpitations, increased blood pressure, headache and anxiety Prednisone is very effective for treating inflammations and immune-related ocular diseases. Prolonged use of steroids can lead to the formation of posterior subcapsular opacities in the lens and is known to cause glaucoma in genetically susceptible persons.